Which of the following is true about P. falciparum
1. James dots are seen
2. Accole forms are seen
3. Relapses are frequent
4. Longest incubation period

Correct answer: 2. Accole forms are seen

Explanation: Ans. is 'b' i.e., Accole forms are seen The parasite often attaches itself to the margin or the edge of the host cell, the nucleus and a small part of the cytoplasm remaining almost outside. This is known as form applique or accole. There is no relapse in P. falciparum. P. falciparum has minimum incubation period (9-14 days).